A young lady complains of sore throat for 3 days along with fever and headache. On examination, she was severely dehydrated, her BP was found to be 90/ 50 mm Hg and on the distal aspect of the cuff, small red spots were noted. What could be the most probable etiological agent responsible for causing these symptoms -
1. Brucella abortus
2. Brucella suis
3. Neisseria meningitidis
4. Staphylococcus aureus

Correct answer: 3. Neisseria meningitidis